Pavor nocturnus is -
1. Sleep terror
2. Sleep apnea
3. Sleep bruxism
4. Somnambulism

Correct answer: 1. Sleep terror

Explanation: Pavor nocturnus is the other name for sleep terror.